An 18-year-old sexually active college student presents with complaints of lower abdominal pain and irregular bleeding for five days. She has no fever. She uses oral contraceptives as method of birth control. Upon examination, the cervix is friable, there is cervical motion tenderness and adnexal tenderness. The pregnancy test is negative. She tells you that she had a similar episode two years ago. What is her risk of infertility following this second clinical episode of pelvic inflammatory disease?
1. < 1%
2. 5%
3. 10%
4. 20%

Correct answer: 4. 20%

Explanation: Chlamydia trachomatis is frequently reported bacterial sexually transmitted disease (STD). Infections of the cervix may present as a friable cervix, but are most often without signs or symptoms. Pelvic inflammatory disease (PID) caused by chlamydia often presents with milder symptoms than when it is caused by gonorrhea. Prompt treatment reduces the occurrence of long-term sequelae such as infertility, ectopic pregnancy, and chronic pelvic pain. The risk of infertility appears to be higher for chlamydial infections compared to any other STD. Screening women is important to reduce the risk of PID and its sequelae.